Gene silencing means a gene which would be expressed under normal circumstances is switched off by cell machinery. Which one of the following cellular components is not involved in gene silencing?
1. Micro-RNA
2. Double stranded RNA
3. Ribosomal RNA
4. Si RNA

Correct answer: 3. Ribosomal RNA

Explanation: Ans. (c) Ribosomal RNA(Ref: Robbins 9th/pg 172-173)Two of the leading methods of gene silencing are RNA interference (RNAi), Si RNA and antisense oligonucleotides (ASOs), ds RNAIt does not affect ribosomal RNA